The value between 1st pentile and 4th pentile includes ?
1. 20%
2. 40%
3. 60%
4. 80%

Correct answer: 3. 60%

Explanation: Ans. is 'c' i.e., 60% Similar to quartile (which devides the ordered data into four equal parts, Pentile divides it into five equal parts. So the number of intercepts required is 4 i.e. P,, P,, P3, P4. o Each part contains 20% of values. o P1(1" pentile) divides a distribution in a ratio of 20 : 80 OR 1 : 4 o P2 (2nd pentile) divides a distribution in a ratio of 40 : 60 OR 2 : 3 o P3 (3"I pentile) divides a distribution in a ratio of 60 : 40 OR 3 : 2 o P4 (4th pentile) divides a distribution in a ratio of 80 : 20 OR 4 : 1 So between P, to P4 60% of values will be distributed. Similar to quartile & pentile other divisions of distribution are there, on which queion can be asked. distribution into No. of intercepts Teile 3 equal parts 2 Quartile 4 equal parts 3 Pentile (Quintile) 5 equal parts 4 Hextile 6 equal parts 5 Heptile 7 equal parts 6 Octile 8 equal parts 7 Decile 10 equal parts 9 Centile (Percentile) 100 equal parts 99 o Percentiles (centiles) are presented on cumulative frequency curve/table (Ogive).